All of the following drugs cause discolouration of urine EXCEPT -
1. Nitrosurantoin
2. Digoxin
3. Azo dyes
4. Rifampicin

Correct answer: 2. Digoxin

Explanation: Ans. is 'b' i.e., Digoxin